During the formation of hydroxyproline and hydroxylsine, the essential factors required is/are:
1. Pyridoxal phosphate
2. Ascorbic acid
3. Thiamine pyrophosphate
4. Methylcobalamine

Correct answer: 2. Ascorbic acid

Explanation: B i.e. Ascorbic acid